Which of the following condition is usually present in class II div 2 malocclusion :
1. Open bite
2. Retroclined maxillary Lateral incisors
3. Retroclined maxillary central incisors
4. Retroclined maxillary molars

Correct answer: 3. Retroclined maxillary central incisors